True statement regarding zero order kinetics is:-
1. Half life is constant
2. Rate of elimination is dependent on plasma drug concentration
3. Clearance decreases with increase in plasma concentration
4. Applies to majority of the drugs

Correct answer: 3. Clearance decreases with increase in plasma concentration

Explanation: Zero Order Kinetics: Half life is less at low concentrations and more at high concentrations. Rate of elimination is independent of plasma concentration. Clearance is more at low concentrations and less at high concentrations. Very few drugs follow pure zero order kinetics e.g. alcohol